False about Bacillus anthracis is
1. Causes anthrax
2. Toxin is tripartite
3. Capsule made up of polypeptide
4. Most common transmission is by inhalation of spores

Correct answer: 4. Most common transmission is by inhalation of spores

Explanation: Cutaneous mode is most common transmission.